The kind of hypoxia seen in the collapse of lungs and depression of respiratory centre is:
1. Hypoxic hypoxia.
2. Anaemic hypoxia.
3. Stagnant hypoxia.
4. Histotoxic hypoxia.

Correct answer: 1. Hypoxic hypoxia.

Explanation: In this condition oxygen therapy is useful.